Duret hemorrhage involves:
1. Superior cerebellar artery
2. Basilar artery
3. Anterior spinal artery
4. Thalamogeniculate artery

Correct answer: 2. Basilar artery

Explanation: Duret hemorrhage is caused by downward herniation of brain stem which in turn lead to stretching and rupture of branches of basilar artery.